Pseudo bubo is seen in -
1. Donovanosis
2. LGV
3. Chancroid
4. Syphilis

Correct answer: 1. Donovanosis

Explanation: DONOVANOSIS:- Granuloma venerum. Fourth veneral disease. Granuloma inguinale tropicum. Organism:-Calymmatobacterium granulomatis/ klebsiella granulomatis .(closed safety pin morphology) Clinical features:- 1. Painless papule at the site of entry.Becomes ulcerated and gradually develops into characteristic elevated, beefy red ulcerogranulomatous masses that bleed easily. 2. Males Site-prepuce,frenum,glans penis and peniscrotal junction. 3. Females- labia majora, mons veneris and fourchette. Complication:- 1. Fluctuant swelling develop in the inguinal region due to subcutaneous involvement lymphatics and is referred to as pseudobubo formation. 2. Squamous cell carcinoma. {Reference: IADVL textbook of dermatology, vishalakshi Vishwanath. Pg no. 128.}